Overall optimum degree of taper of tooth preparation for maxillary anterior tooth is:
1. 6 degrees
2. 10 degrees
3. 14 degrees
4. 19 degrees

Correct answer: 2. 10 degrees

Explanation: For anterior preparations, 10 degree taper is recommended.
For cast preparations, 6 degree taper is optimum.

Ref: Stephen Rosenstiel, Martin Land, and Junhei Fujimoto, Contemporary Fixed Prosthodontics 5th Edition